A 63-year-old man comes to an emergency department with back pain, weakness, and shortness of breath. On examination, he has an aneurysm of the abdominal aorta at the aortic hiatus of the diaphragm. Which of the following pairs of structures would most likely be compressed?
1. Vagus nerve and azygos vein
2. Esophagus and vagus nerve
3. Azygos vein and thoracic duct
4. Thoracic duct and esophagus

Correct answer: 3. Azygos vein and thoracic duct

Explanation: ATA structures passes through aortic opening / aortic hiatus: A = Aorta; T = thoracic duct ;A= Azygos vein (sometimes) Openings of diaphragm :